Beta 2 agonist is useful in which condition:
1. Angina
2. Asthma
3. Delayed labour
4. All of the above

Correct answer: 2. Asthma

Explanation: Ans. B. AsthmaBeta 2 agonist like salbutamol is used for asthma. They are also used for premature contractions. Beta blockers are used for angina.